Which of the following is a characteristic post mortem finding of drowning?
1. Dribbling of saliva
2. Cherry red discolouration
3. Paltauf's haemorrhages
4. Pugilistic attitude

Correct answer: 3. Paltauf's haemorrhages

Explanation: Paltauf's haemorrhages are postmortem changes of drowning. The alveolar walls may rupture due to increased pressure during forced expirations, and produce hemorrhages, which when present subpleurally are called 'Paltauf's hemorrhages'. Paltauf' s haemorrhages are shining, pale bluish-red, and may be minute or 3-5 cm. in diameter. They are usually present in about 50% of cases in the lower lobes of the lungs, but may be seen on the anterior surfaces of the lungs, and the interlobar surfaces. Ref: The Essentials of Forensic Medicine and Toxicology by KS Narayan Reddy, 27th edition, Page 327.